Treatment of choice for chancroid is :
1. Penicillin
2. Chloramphenicol
3. Tetracyclines
4. Erythromycin

Correct answer: 4. Erythromycin